In HbS, Glutamic acid replaced by valine. What will be its electrophoretic mobility?
1. Increased
2. Decreased
3. No change
4. Depends on level of concentration of HbS

Correct answer: 2. Decreased

Explanation: Ans. B. DecreasedIn HbS, Glutamic acid is replaced by Valine. Hence the negative charge is decreased. So HbS moves slower than HbA1.The relative mobility of various Hb fractions in Hb electrophoresis.Relative mobility of common Hb fractions from origin or point of application is1. HbA22. HbS3. HbF4. HbA1